A patient presents with Thrombocytopenia, eczema and recurrent infection. The most probable diagnosis is:
1. Wiskott Aldrich syndrome
2. Chediak-Higashi syndrome
3. Job's syndrome
4. Bruton's Agammaglobulinemia

Correct answer: 1. Wiskott Aldrich syndrome

Explanation: Answer is A (Wiskott Aldrich syndrome) Thrumbocytopenia, Eczema and Recurrent Infections (Immunodeficiency) represents the charachteristic triad of Wiskott - Aldrich syndrome.